Most common cranial nerve involved in CSOM is ?
1. V
2. VII
3. IX
4. XI

Correct answer: 2. VII

Explanation: Ans. is 'b' i.e., VII